Pus in burns form in
1. 2-3 Days
2. 3-5 days
3. 2-3 weeks
4. 4 weeks

Correct answer: 1. 2-3 Days

Explanation: Burn wound will almost inevitably be colonised by micro oraganism within 24-48 hrs.